When should folic acid supplementation start in order to be effective in preventing neural tube defects?
1. As soon as pregnancy is diagnosed
2. Before the beginning of 2nd trimester
3. At least one month before conception
4. At least 1 week before conception

Correct answer: 3. At least one month before conception

Explanation: Ans. C. At least one month before conception* To be effective, folic acid supplementation should be started at least 1 month before conception, and continued through the first 2-3 months of pregnancy.* All women desirous of becoming pregnant should consume 400-800mg folic acid daily; the dose is 4mg/day in those having delivered a child with neural tube defect.